True about neuropraxia is:
1. Blockage of axon
2. Physiological block
3. Incomplete transection of nerve
4. Complete transection of nerve

Correct answer: 2. Physiological block

Explanation: Ref: Current Therapy in Neurologic Disease, Volume L edited by Richard Tidball Johnson. John W. Griffin, Justin C. McArthur, Page 247Explanation:TYPES OF NERVE INJURYNeuropraxia:Physiological block of nerve conduction within an axon without any anatomical interruption.Example: Brachial plexus injury at birth which recovers spontaneously by 4-6 weeks.Axonemetesis:Anatomical interruption of the axon with no interruption of the connective tissue framework.Needs time for regrowth of axon to the target muscle.Scar formation will prevent regrowth.Takes many months to recover.Neurotmesis:Complete anatomical disruption of the axon and surrounding connective tissue.Complete nerve rupture.No chance of spontaneous recovery.Needs early surgical intervention.